Pregnancy iron metabolism-
1. Increase serum iron in
2. Increase serum vitamin b 12
3. Increase folate in blood
4. Increase total iron binding capacity

Correct answer: 4. Increase total iron binding capacity

Explanation: Ans. is 'd' i.e., Increase total iron binding capacity Physiological changes in iron etabolism during pregnancyo In the second half ofpregnancy the daily iron requirement is 6 - 7 gm.o Serum iron concentration decreaseso Serum ferritin decreaseso Serum total iron binding capacity increaseso Percentage saturation (serum ferretin/ serum TIBC) decreaseso Serum transferrin increases